Which of the following is the right choice of treatment for portasystemic encephalopathy?
1. Diuretics
2. High protein diet
3. Emergency portosystemic shunt surgery
4. Lactulose

Correct answer: 4. Lactulose